Noguchi's medium is used for?
1. Bordetella
2. Brucella
3. Borrellia
4. Corynebacterium

Correct answer: 3. Borrellia

Explanation: Borrelia refringens was isolated from five of ten clinical specimens by use of a modification of the Noguchi technique. An enriched anaerobic medium is described for the cultivation of B. refringens with retention of morphological characteristics. Ref ananthnarayana and panikers microbiology textbook